Pancreatitis is a common complication of which one of the following :
1. Zidovudine
2. Didanosine
3. Zalcitabine
4. Stavudine

Correct answer: 2. Didanosine